What is the numerator in perinatal mortality:-
1. Post neonatal period death
2. Early neonatal death of fetus >1000 g
3. Abortion after 16 weeks
4. Still birth <500 g

Correct answer: 2. Early neonatal death of fetus >1000 g

Explanation: Ans. (B) Early neonatal death of fetus >1000 g(Ref: Park Textbook of PSM 25th ed; pg. 618)Perinatal mortality rate is described as late fetal and early neonatal deaths weighing over 1000 grams at birth expressed as a ratio per 1000 live births weighing over 1000 gram atPerinatal mortality rate =Livebirth+LateFetalDeathLateFetalDeaths(28weeksgestationormore)+EarlyNeonatalDeath(Within7daysoflife) Perinatal mortality includes late fetal deaths, live births and early neonatal deaths with:-#Minimum birth weight of 100 g (equivalent to 28 weeks of gestation)- Preferred criterion#If the birth weight is not available, a gestational age of at least 28 weeks.#If both birth weight and gestational age are not available, body length (crown to heel) of at least 35 cm.NoteThere is a difference in the denominator (and NOT in numerator) for developed countries and that given WHO (more for countries with less established vital recording systems)The WHO definition, which suits the less developed recording system, takes into account ONLY live birth in the denominator.